Retina is part of -
1. CNS
2. PNA
3. ANS
4. None

Correct answer: 1. CNS

Explanation: Ans. is 'a' i.e., CNS {Ref: I. B.Singh 8th/e p. 308]o Retina is a part of CNS and develops from Neuroectoderm.